A diabetic patient presents with pus from eye . Colonies of isolated organisms are black with microscopic feature of non-septate hyphae and obtuse branching. Diagnosis is-
1. Aspergillosis
2. Candidiasis
3. Mucormycosis
4. Histoplasmosis

Correct answer: 3. Mucormycosis

Explanation: Information in this question are: i) Patient is diabetic ii) Orbital mycosis iii) Broad aseptate hyaline hyphae with wide angle branching seen in members of Zygomycetes. These suggest the diagnosis of Mucormycosis In Aspergillus, acute angle branching is seen. Histoplasmosis mostly cause lung infection and show oval yeast cells with narrow based budding within macrophages Candidiasis - mostly opportunistic infection, shows gram positive oval budding yeast cell.